What is the approximate Total fetal cardiac output?
1. 300 ml/kg/min
2. 450 ml/kg/min
3. 600 ml/kg/min
4. 150 ml/kg/min

Correct answer: 2. 450 ml/kg/min

Explanation: b. 450ml/kg/min(Ref: Nelson's 20/e p 2161)Total fetal cardiac output, i.e. combined output of both left and right ventricles--is 450mL/kg/min.65% of descending aortic blood flow returns to the placenta and remaining 35% perfuses the fetal organs and tissues.